What is vertebroplasty -
1. Stabilization of vertebral compression fracture
2. Replacement of vertebral body only
3. Replacement of vertebral body with intervertebral disc
4. Fusion of the adjacent vertebrae

Correct answer: 1. Stabilization of vertebral compression fracture

Explanation: This procedure consists of injecting bone cement under high pressure through large spinal needles into the acutely painful compressed & collapsed osteoporotic vertebral body . This is done mainly to relieve pain due to collapse of the body , strengthen it further to prevent future collapse & not done to restore the body height . vertebroplasty is known to reduce pain in 70-90% of patients. Percutaneous vertebroplasty (PVP) usually involves percutaneous injection of PMMA into the vertebral bodies Percutaneous cementoplasty (also known as vertebral packing or vertebroplasty) with acrylic cement (polymethylmethacrylate ) A procedure aimed at preventing vertebral body collapse and pain in patients with pathologic vertebral bodies. Percutaneous cementoplasty is a promising therapeutic technique for pain control in patients with bone failure Applications It can be used in the treatment of: Severe painful osteoporosis with loss of height and/or with compression fractures of vertebral bodies 1) Insufficiency fracture 2) Aggressive hemangioma 3) Vertebral multiple myeloma 4) Painful vertebral body tumors and acetabular tumors (r) Vertebral metastases Ref essential orthopaedic maheshwari and mhaskar 9TH EDp 270